Mikulicz and Russell bodies are characteristic of
1. Lethal midline granuloma
2. Plasma cell disorder
3. Rhinoscleroma
4. Rhinosporidiosis

Correct answer: 3. Rhinoscleroma

Explanation: Biopsy shows infiltration of submucosa with plasma cells, lymphocytes, eosinophils, mikulicz cells and Russell bodies.
The latter two are diagnostic features of the disease RHINOSCLEROMA. Mikulicz cells are large foam cells with a central nucleus and vacuolated cytoplasm containing causative bacilli. Russell bodies are homogenous eosinophilic inclusion bodies found in the plasma cells. They occur due to the accumulation of immunoglobulins secreted by the plasma cells.